Bleomycin toxicity primarily involves -
1. Liver
2. Bone marrow
3. Skin
4. Lungs

Correct answer: 4. Lungs

Explanation: Ans. is 'd' i.e., Lungs